Which of the following drug is deposited in muscle
1. Verapamil
2. Digoxin
3. Adenosine
4. Phenytoin

Correct answer: 2. Digoxin

Explanation: Refer kDT 6/e p 497 Some drugs accumulate in certain tissues (for example, digoxin accumulates in heart and skeletal muscles), which can also act as reservoirs of extra drug. These tissues slowly release the drug into the bloodstream, keeping blood levels of the drug from decreasing rapidly and thereby prolonging the effect of the drug. Some drugs, such as those that accumulate in fatty tissues, leave the tissues so slowly that they circulate in the bloodstream for days after a person has stopped taking the drug